True about global warming is -
1. CO2 is the major greenhouse gas
2. Stratosphere ozone layer is harmful
3. CFC increases stratosphere ozone layer
4. Kyoto protocol called for 20% reduction in green house effect

Correct answer: 1. CO2 is the major greenhouse gas

Explanation: CO2 is the major greenhouse gases which are mainly emitted from the combustion of fossil fuels Park's Textbook of Preventive and Social Medicine, 25th edition, Page No. 794